Use of dangerous weapon is related to which section of IPC?
1. 304
2. 319
3. 322
4. 324

Correct answer: 4. 324

Explanation: Ans. is 'd' i.e.,324 Offences related to Hurt* 319 IPC: Defines hurt.* 320 IPC: Defines grievous hurt.* 321 IPC: Voluntarily causing hurt.* 322 IPC: Voluntarily causing grievous hurt.* 323 IPC: Punishment for voluntarily causing hurt (no provocation, no dangerous weapon) (1 years imprisonment).* 324 IPC: Punishment for voluntarily causing hurt by dangerous weapon (3 years imprisonment +- fine).* 325 IPC: Punishment for voluntarily causing grievous hurt (no provocation, no dangerous weapon) (7 years imprisonment +- fine).* 326 IPC: Punishment for voluntarily causing grievous hurt by dangerous weapon (10 years imprisonment +- fine).* 327 IPC: Causing hurt to extort property (10 years imprisonment +- fine).* 328 IPC: Causing hurt by poison (10 years imprisonment +- fine).* 329 IPC: Causing grievous hurt to extort property (10 years imprisonment which can extend upto life +- fine).* 331 IPC: Causing grievous hurt to extort confession (10 years imprisonment +- fine).* 332 IPC: Causing hurt to deter public servant from duty (3 years imprisonment +- fine).* 333 IPC: Causing grievous hurt to deter public servant from duty (10 years imprisonment +- fine).* 334 IPC: Causing hurt on provocation (1 month imprisonment +- fine).* 335 IPC: Causing grievous hurt on provocation (4 years imprisonment +- fine).* 336 IPC: Act endangering life or personal safety.* 337 IPC: Causing hurt by endangering life/safety.* 338 IPC: Causing grievous hurt by endangering life/safety.